All of the following arteries are the branches of coeliac trunk, EXCEPT?
1. Left gastric artery
2. Right gastric artery
3. Splenic artery
4. Hepatic artery

Correct answer: 2. Right gastric artery

Explanation: Branches of the celiac trunk are left gastric artery, splenic artery and common hepatic artery. The celiac trunk arise from the abdominal aorta, immediately below the aortic hiatus of the diaphragm at the T12 vertebral level. Right gastric artery is a branch of common hepatic artery. Branches of common hepatic artery are:Proper hepatic arteryRight gastric arteryGastroduodenal artery: right gastroomental artery, superior pancreaticoduodenal artery are branches of gastroduodenal artery.Branches of splenic artery:Left gastroomentalShort gastric branchesPancreatic branches